Vasanthi 45 years, was brought to casualty with abnormal movements which included persistent deviation of neck to right side one day before she was prescribed Haloperidol 5 mgs three times daily from the psychiatry OPD. She also had an altercation with her husband recently. Which of the following is the most likely cause for her symptoms-
1. Acute drug dystonia
2. Conversion reaction
3. Acute psychosis
4. Cerebrovascular accident

Correct answer: 1. Acute drug dystonia

Explanation: Ans. is 'a' i.e., Acute drug dystonia o Persistent deviation of neck (Torticollis) after one day of taking haloperidol is a feature of acture muscular dystonia (acute drug dystonia). Acute muscular dystonia o Bizarre muscle spasms mostly involving linguo-facial muscles --> grimacing, tongue thrusting, torticollis, locked jaw. o Occurs within a few hours of a single dose. o More common in children below 10 years and girls. o Treatment --> central anticholinergic